Which of the following is transmitted through foramen spinosum -
1. Middle meningeal artery
2. Internal carotid artery
3. Facial nerve
4. Mandibular nerve

Correct answer: 1. Middle meningeal artery

Explanation: Structures passing through foramen spinosum are:-


Middle meningeal artery
Emissary vein
Nervus spinosus (a meningeal branch of mandibular nerve)